The Simian crease is not seen in ______
1. Down syndrome
2. Trisomy 13
3. Cri du chat syndrome
4. Cystic Fibrosis

Correct answer: 4. Cystic Fibrosis

Explanation: Simian crease (single transverse palmar crease) is not seen in cystic fibrosis. Simian crease is seen in : Down's syndrome Fetal alcohol sydrome Trisomy 13 Cri du chat syndrome Ref: Online resources